Highest insight is ?
1. Intellectual
2. Emotional
3. Psychological
4. Affective

Correct answer: 2. Emotional

Explanation: Ans. b. EmotionalNeziroglu and Stevens proposed four different levels of insights:True emotional insightIntellectual insightPaial internally and externally based insightDenial of illnessTrue emotional insight is representative of the highest level of insight possible. In it the patients' awareness and understanding of their own thoughts, feelings and motives can be used to change behavior.